Investigation of choice in spontaneous Sub arachnoid bleed
1. CT scan
2. Ventriculography
3. Ultrasound
4. Cerebral angiography

Correct answer: 1. CT scan

Explanation: (A) CT scan